The culture medium used for Entamoeba histolytica-
1. Blood agar
2. Philip's medium
3. CLED medium
4. Trypticase serum

Correct answer: 2. Philip's medium

Explanation: Cultures media used for cultivation of E.histolytica are:-


Boeck and Drbohlav's medium
Philip's medium
Shaffer and Frye's medium
Jones medium
Balamuth's medium
Diamond's medium